Following an accident a man developed paralytic squint. Regarding Paralytic squint, TRUE is:
1. Diplopia
2. Tunnel vision
3. Vitreous haemorrhage
4. Floaters

Correct answer: 1. Diplopia

Explanation: The signs and symptoms of paralysis of any extraocular muscle are: Squint Limitation of ocular movements Diplopia False orientation Abnormal position of the head Vertigo Ref: Parsons' Diseases of the Eye By Ramanjit Sihota & Radhika Tandon, 21st edition, Page 425.